All of the following antiepileptic can lead to weight loss except
1. Felbamate
2. Valproate
3. Zonisamide
4. Topiramate

Correct answer: 2. Valproate

Explanation: Zonisamide, Topiramate, Felbamate: causes weight loss.

→ Topiramate is used with Phenteramine to treat obesity.

Sodium valproate, Perampanel, Gabapentin: causes weight  gain.